Characteristic feature of Goodpasture's syndrome
1. Lumpy-bumpy deposits on immunofluorescence
2. Serum antibodies against alpha 3 NC1 domain of collagen - IV
3. Serum antibodies against alpha 1 NCI domain of collagen III
4. Anti DNAse antibodies positive

Correct answer: 2. Serum antibodies against alpha 3 NC1 domain of collagen - IV

Explanation: Ans. (b) Serum antibodies against alpha 3 NC1 domain of collagen - IV(Ref: Robbins 9th/pg 912-913)Goodpasture syndromeIt is type 1 RPGN & a type II hypersensitivity reaction.It is characterized by serum antibodies against alpha 3 NC1 domain of collagen - IV.This shows linear GBM fluorescence, while all other Glomerulonephritis, which are type 3 Hypersensitivity reactions show granular immune deposits.